All of the following areas on anterolateral surface of left kidney are devoid of peritoneum, EXCEPT:
1. Suprarenal
2. Colic
3. Pancreatic
4. None of the above

Correct answer: 4. None of the above

Explanation: The suprarenal, pancreatic and colic areas are devoid of peritoneum.Ref: Gray's anatomy 40th edition, Chapter 91.